OCP's are contraindicated in all except:
1. Smoking 35 years
2. Coronary occlusion
3. Polycystic ovarian disease
4. Cerebrovascular disease

Correct answer: 3. Polycystic ovarian disease

Explanation: Contraindications of OCPs:
Absolute contraindications include:
Banks - Known or suspected Breast cancer
Have - Severe Hypertriglyieridemia/Hypercholesteremia
Various - (Undiagnosed Abnormal) Vaginal bleeding 
Schemes - Smokers over the age of 35 years
To - Thrombophelebitis/Thromboembolic disorders, (present H/O, past H/O, family H/O) Cerebral and Cardiac disease
Provide - Pregnancy
Home - Hypertension (Moderate to severe)
Loans - Impaired Liver function/infective hepatitis
Relative contraindications of OCP's:

Migraine with Aura
Diabetes mellitus/gestational diabetes
Hypertension (mild)
Smoking
Uterine leiomyoma
Elective surgery (OCP should be stopped 4 weeks before any scheduled surgery)
Seizure disorders
Obstructive jaundice in pregnancy
Sickle cell disease
Gall bladder disease
SLE
Mitral valve prolapse
Hyperlipidemia
Hepatic disease.